A patient who has spider telangiectatic spots on skin should have an examination to determine the condition of his:
1. Lungs
2. Liver
3. Kidneys
4. Pancreas

Correct answer: 2. Liver